Which of the following is true about vitamin K?
1. anticoagulant
2. Prolong use of antimicrobial leads to deficiency
3. dietary allowance is 15-20 mg
4. all of the above

Correct answer: 2. Prolong use of antimicrobial leads to deficiency

Explanation: Certain people are at increased risk if they: * take coumarin anticoagulants such as warfarin, which thins the blood * are taking antibiotics * have a condition that causes the body to not absorb fat properly (fat malabsorption) * have a diet that is extremely lacking in vitamin K Vitamin K is a group of structurally similar, fat-soluble vitamins the human body requires for complete synthesis of certain proteins that are prerequisites for blood coagulation and which the body also needs for controlling binding of calcium in bones and other tissues The body needs vitamin K to produce prothrombin, a protein and clotting factor that is important in blood clotting and bone metabolism. Without vitamin K, blood coagulation is seriously impaired, and uncontrolled bleeding occurs. Preliminary clinical research indicates that deficiency of vitamin K may weaken bones, potentially leading to osteoporosis, and may promote calcification of arteries and other soft tissues Dietary allowance for adults per day- 50-100 mg. REF : HARRISONS 21ST ED